Ecthyma gangrenosum is caused by?
1. Fungal infection
2. Pseudomonas aeruginosa
3. Staphylococcus
4. Streptococcus

Correct answer: 2. Pseudomonas aeruginosa

Explanation: ANSWER: (B) Pseudomonas aeruginosaREF: Dermatology by jean bolognia 2nd e p. 1093"Ecthyma gangrenosum is caused by pseudomonas aeruginosa'"Ecthyma gangrenosum is an infection of the skin typically caused by Pseudomonas aeruginosa. It presents as a round or oval lesion,1 cm to 15 cm in diameter, with a halo of erythema. A necrotic center is usually present with a surrounding erythematous edge, representing where the organism invaded blood vessels and caused infarctions. These ulceritic lesions are single or multiple and heal with scar formation. The mechanism of tissue destruction is Pseudomonas exotoxin A"